Uveal Effusion syndrome may be associated with all of the following, Except:
1. Myopia
2. Ciliochoroidal detachment
3. Structural defect in Sclera
4. Nanophthalmos

Correct answer: 1. Myopia

Explanation: A i.e. Myopia Uvea effusion syndrome may be associated with small hypermetropic eyes but it is not associated with MyopiaQ. Ciliochoroidaliffusion (tachment) = CCE It is collection of fluid in the potential space between the sclera externally and the choroids and ciliary body internally. The fluid is usually located with in the expansion zone of choroids & ciliary body and is therefore within the uvea. Features The anatomic arrangement of fibers. anteriorly that attach the ciliary body and anterior chorioid to the sclera, is analogous to that of long and tangential fibers in outer plexiform layer in the macular area (another location where fluid selectively accumulates). - The physiological pressure in suprachoroidal space is - 2 mmHg less than IOP in anterior & vitreous chamber. A precipitous (sudden) decline in LOP d/t surgery or trauma may promote vascular engorgement and suprachoroidal edema. With CCE, the lens -iris diaphragm may shift anteriorly and cause acute angle closure glaucoma. Structurally abnormal Sclera (Thick Sclera) : Sclera contains high levels of abnormal proteoglycans which bind and trap large volumes of water. Thus the sclera thickens and may secondarily obstruct the choroidal venous drainage and escape of aqueous that leave the anterior chamber uveoscleral route. Fibronectin is increased in sclera in nanopthalmos. Forms (Types) Vortex vein compression by thickened sclera has been implicated in the production of uveal effusion in uveal effusion syndrome and nanopthalmic eyesQ. Abnormal accumulation of serous fluid lit exudative deep ciliochoroidal detachment of ciliary body, choroids and retina. In chronic CCE, break down of blood ocular barrier at the level of RPE occurs and 1/t non rhegmatogenous RD. - Linear areas of RPE hypertrophy and hyperplasia (Verhoeff's streak) are sign of resolving (subsidiary) cilochorodal effusion (detachment). Motling of RPE (Leopard sign) may be seen. Eyes may be nanopthalmic (small) or hvpermetropic Phthysis and hypotonia is usually due to ciliary body shutdown from chronic detachment which compromises the blood supply to the ciliary processes Ureal effusion syndrome is frequently confused clinically with ring melanoma of the ciliary body/choroids and metastatic tumors which form important differential diagnosis of this condition. Transillumination and USG are helpful in distinguishing a serous from solid detachment. CCE light up, and transillumination can be observed anteriorly next to limbus. Increased transillumination by CCE is k/a Hagen's sign. However, in some cases of melanoma (non pigmented type) transillumination may not be defective.